In psoriatic arthritis, if the patient has liver fibrosis, arthropathy can NOT be treated with?
1. Methotrexate
2. Anti-TNF-alpha agents
3. Steroids
4. Sulfasalazine

Correct answer: 1. Methotrexate

Explanation: Methotreaxte is absolutely contraindicated in liver fibrois. In case of treatment for long duration liver fibrosis should be assessed by liver biopsy.